Gerstmann syndrome occurs due to damage to
1. Left inferior parietal region
2. Left temporal region
3. Right Inferior parietal region
4. Right temporal region

Correct answer: 1. Left inferior parietal region

Explanation: (A) Left inferior parietal region # Gerstmann's Syndrome is a combination of:1. Acalculia (impairment of simple arithmetic),2. Dysgraphia (impaired writing),3. Finger anomia (an inability to name individual fingers such as the index and thumb), &4. Right-left confusion (an inability to tell whether a hand, foot, or arm of the patient or examiner is on the right or left side of the body).> Diagnosis: it is important to establish that the finger and left-right naming deficits are not part of a more generalized anomia and that the patient is not otherwise aphasic.> Gerstmann's syndrome arises acutely & is commonly associated with damage to the inferior parietal lobule (especially the angular gyrus) in the left hemisphere.